Interim obturator in cleft palate patients is placed at what time?
1. After 7 days of surgery
2. After 2-6 weeks of surgery
3. After 2-4 months of surgery
4. None of the above

Correct answer: 2. After 2-6 weeks of surgery

Explanation: Interim obturator:

Form during 2nd phase of post-surgical prosthodontic treatment.
Formed after 2-6 weeks postsurgically.
Main objective is to provide patient comfort & easy function till healing.
In small defects, in which patient is able to function normally with immediate surgical obturator, this interim obturator is not necessary.
Final definitive prosthesis made after 3-6 months post-surgery (Third phase)